All off the following are components of nephrotic syndrome except -
1. Edema
2. Hypercoagulability
3. Hypocholesterolemia
4. Infection

Correct answer: 3. Hypocholesterolemia